Which of the following is not immunohistochemistry marker of Langerhans cell histiocytosis?
1. S-100
2. CD1a
3. CD207
4. None of the above

Correct answer: 4. None of the above

Explanation: CD1a, S-100, CD 207 (Langerin) all are immunohistochemistry markers of Langerhans cell histiocytosis.